Cytotoxic drugs are disposed in
1. Yellow bag
2. Blue bag
3. Red bag
4. Black bag

Correct answer: 1. Yellow bag